Not a cause for DIC -
1. Septicemia
2. Visceral carcinoma
3. Cholera
4. Antepartum hemorrhage

Correct answer: 3. Cholera